Black color in triage is
1. High priority
2. Transfer
3. Death
4. Low priority

Correct answer: 3. Death